Black water fever is caused by
1. Kalaazar
2. P.falciparum
3. P.Vivax
4. Leishmaniasis

Correct answer: 2. P.falciparum

Explanation: Ans. b (Plasmodium falciparum). (Ref. Harrison, Principle of Medicine, 18th ed./Chapter 210. Malaria)Black water fever is caused by Plasmodium falciparum. Bloody urine (hemoglobinuria) occurs as a complication of falciparum malaria infection. It results from destraction of RBCs & release of hemoglobin. It occurs most commonly in patients who have been treated with drugs derived from gunine. It is characterized by high fever, dark urine, epigastric pain, vomits, jaundice & shock. Hepatosplenomegaly occurs. Severe anemia is the hallmark & renal failure can ocur.